Rubber band extraction is indicated in haemophiliac patient, as it facilitates the extraction by:
1. Traction force on PDL
2. Necrosis of alveolar bone
3. Necrosis of PDL
4. Pulling of the PDL

Correct answer: 3. Necrosis of PDL